Plasma levels of which of the following are likely to be lower than normal in a case of severe liver disease?
1. NH3
2. NH4+
3. Urea
4. Alanine

Correct answer: 3. Urea